Substance P is increased is response to pain in periphery, by which of the following?
1. Mast cells
2. Endothelium
3. Plasma
4. Nerve terminals

Correct answer: 4. Nerve terminals

Explanation: Substance P seen at

Primary pain nerve endings in dorsal horn of spinal cord
Hypothalamus
Nigrostrial pathway of basal ganglia